Primary ketone body
1. b-hydroxybutyrate
2. Acetoacetate
3. Acetone
4. None

Correct answer: 2. Acetoacetate

Explanation: Acetoacetate is the primary ketone body while beta-hydroxybutyrate and acetone are secondary ketone bodies. They are synthesised exclusively by the liver mitochondriaRef: DM Vasudevan - Textbook of Biochemistry, 6th edition, page no: 143